A mother brings her 19 years old daughter to your clinic with complaint that she has not started having menses. General examination reveals normally developed breasts and pubic hair. On pelvic examination, vaginal ending is blind and uterus is not palpable. Which of the following do you suspect?
1. Mullerian agenesis
2. Asherman syndrome
3. Gonadal dysgenesis
4. Turner syndrome

Correct answer: 1. Mullerian agenesis

Explanation: Ans. is a, i.e. Mullerian agenesisIn the question -19 year old c/o primary amenorrhea with -(i) Normal secondary sexual characteristics (breast and pubic hair)(ii) Uterus is absent(iii) Short vagina is presentAll these favor the diagnosis of Mullerian agenesis. As far as Ashermann Syndrome is concerned, uterus should be palpable.In Gonadal dysgenesis and Turner Syndrome, secondary sexual characteristics are absent.